Which of the following art is a fusion inhibitor?
1. Zidovudine
2. Enfuvirtide
3. Nevirapine
4. Ritonavir

Correct answer: 2. Enfuvirtide

Explanation: (Refer: K. D. Tripathi's Essentials of Medical Pharmacology, 7th edition, pg no:774)